Which muscle has an indirect effect on the extent of impression in labial vestibule (maxilla)
1. Orbicularis oris
2. Buccinator
3. Masseter
4. Levator anguli oris

Correct answer: 1. Orbicularis oris